M.C. complication of mumps in children is
1. Aseptic meningitis
2. Pancreatitis
3. Pneumonia
4. Encephalitis

Correct answer: 1. Aseptic meningitis